Which of the following is not an amino steroid deprivative
1. Alcuronium
2. Vecuronium
3. Pancuronium
4. Pipecuronium

Correct answer: 1. Alcuronium

Explanation: Non-depolarising neuro-muscular blockers are classified in to 2groups based on chemical structure. 1.Benzylisoquinolones: d-tubocurare, Atracurium, Cis-atracurium, Dexacurium, Mivacurium ,Alcuronium. 2.Amino-steroid derivatives : Pancuronium, Vecuronium, rocuronium, pipecuronium, rapacuronium.